Treatment of SVC syndrome due to Small Cell carcinoma Lung is -
1. Radiotherapy
2. Chemotheraphy
3. Sur,gery
4. No treatment

Correct answer: 2. Chemotheraphy

Explanation: Lung cancer -- Approximately 2 to 4 percent of patients with lung cancer develop SVC syndrome at some point during their disease course SVC syndrome is more common with SCLC, occurring in approximately 10 percent of cases at presentation . This is presumably because SCLC develops and grows rapidly in central, rather than peripheral, airways. Fewer than 2 percent of patients presenting with NSCLC have SVC syndrome as a complication, but because of the higher incidence, NSCLC is a more frequent cause of SVC syndrome than is SCLC SVCS can be managed with chemotherapy or radiation therapy given to treat the cancer causing the side effect. Other short-term treatments can help reduce symptoms of SVCS, including: Raising the person's head. Giving corticosteroids, which are medications that reduce swelling Ref Harrison 20th edition pg 567